All the following drugs act on the Microtubular Protein Tubulin EXCEPT:
1. Colchicine
2. Vincristin
3. Bleomycin
4. Paclitaxel

Correct answer: 3. Bleomycin

Explanation: Bleomycin